Phage conversion is required for:
1. Tularemia
2. Diphtheria
3. Gonorrhoea
4. All of the above

Correct answer: 2. Diphtheria